In case of death in prison, inquest is held by -
1. Magistrate
2. Panchayat officers
3. Police superintendent
4. District attorney

Correct answer: 1. Magistrate